Most radio resistant phase in cell cycle – a) G1b) Early Sc) Late Sd) G2
1. c
2. bc
3. bd
4. ac

Correct answer: 1. c